All of the following disorders can be diagnosed antenatally except :
1. Hemophilia
2. Thalassemia
3. Sickle cell anemia
4. Pernicious anaemia

Correct answer: 4. Pernicious anaemia

Explanation: Pernicious anaemia